Ectopia lentis is seen in:
1. Marfan's syndrome
2. Sulfite oxidase deficiency
3. Homocystinuria
4. All

Correct answer: 4. All

Explanation: Ans. All